All of the following are true of submucous resection  operation for DNS except -
1. Indicated in septal deviation
2. Mucoperichondrium is removed
3. Preferably done after 16 years of age
4. Done in some cases of epistaxis

Correct answer: 2. Mucoperichondrium is removed

Explanation: Submucous resection (SMR) of the nasal septum 

Submucous resection (SMR) is a surgical procedure to correct the deformity of the nasal septum.
The principle of this procedure is to remove deviated cartilage and bone from beneath the mucosal lining of the nasal septum, leaving a corrected septum largely composed of scar tissue.
Submucous resection is not advocated in children up to 17 years of age as it may interfere with the development of the facial bones.

Indications

Deviated nasal septum (DNS) causing symptoms of nasal obstruction and recurrent headaches.
DNS causing obstruction to ventilation of paranasal sinuses and middle ear, resulting in recurrent sinusitis and otitis media.
Recurrent epistaxis from the septal spur.
As a part of septorhinoplasty for cosmetic correction of external nasal deformities.
As a preliminary step in hypophysectomy (transseptal transsphenoidal approach) or vidian neurectomy (transseptal approach).

Steps of surgery

Generally done in adults under local anaesthesia
Consists of elevating the mucoperichondrial and mucoperiosteal flaps on either side of the septal framework by a single incision made on one side of the septum, removing the deflected parts of the bony and cartilaginous septum, and then repositioning the flaps.